Which of the following vaccines has maximum efficacy after a single dose -
1. Tetanus toxoid
2. DPT
3. Measles
4. Typhoid

Correct answer: 3. Measles

Explanation: Ans. is 'c' i.e., Measles